Olfactory epithelium is
1. Squamous Keratinised
2. Squamous non keratinised
3. Striated columnar
4. Psudostratified

Correct answer: 4. Psudostratified

Explanation: INDERBIR SINGH'S TEXTBOOK OF HUMAN HISTOLOGY-PAGE NO:225Olfactory epitheliumThe olfactory epithelium is pseudo stratified it imuch thicker than the epithelium lining the respiratory mucosa